Hunan hand occurs due to ?
1. Abrus prictorius
2. Red chilli
3. Dhatura
4. Strychnine

Correct answer: 2. Red chilli

Explanation: Ans. is 'b' i.e., Red chilli Hunan hand is severe burning lesions of fingers in persons handling dried red chilly powder for prolonged period. "Hunan hand is contact dermatitis caused due to chili (capsicum)"